Wenckebachk phenomenon is defined as-
1. Progressive lengthening of PR interval till a beat is dropped
2. Slurred QRS complex
3. Irregular heart rate & permature ventricular beats
4. Shortened ST intervals

Correct answer: 1. Progressive lengthening of PR interval till a beat is dropped